MacEwen sign is seen in:
1. Hydrocephalus
2. Encephalitis
3. Meningitis
4. Microcephaly

Correct answer: 1. Hydrocephalus

Explanation: a. Hydrocephalus(Ref: Nelson's 20/e p 2814, Ghai 8/e p 574)In Hydrocephalus, percussion of the skull might produce a cracked pot sound or MacEwen sign, indicating separation of the sutures.